Malignant hypertension causes-
1. Flea bitten kidney
2. Irregular granular contracted kidney
3. Large white kidney
4. No change in kidney

Correct answer: 1. Flea bitten kidney

Explanation: Ans. is 'a' i.e.. Flea bitten kidney o In malignant hypertension, small pinpoint petechial hemorrhage may appear on the cortical surface of the kidney from the rupture of arterioles or glomerular capillaries. The kidney is known as 'flea bitten kidney'.'Flea-Bitten Kidney' refers to a gross appearance of kidney characterized by multiple, small, pinpoint, petechial hemorrhages on the cortical surface of the kidney from rupture of arterioles or glomerular capillaries.Causes of flea - bitten kidneyo Malignant hypertensiono RPGNoTTPo Acute poststreptococcal GNoHUSo PANo Infective endocarditis/subacute bacterial endocarditis.o Wegener's granulomatosiso Henoch - scholoin purpura